An infant with failure to thrive, hypertension, metabolic acidosis and hyperkalemia presents to a clinician. Most probable cause is?
1. Liddle's syndrome
2. Bartter's syndrome
3. Gitelman's syndrome
4. Gordon syndrome

Correct answer: 4. Gordon syndrome

Explanation: Out of the given causes, hyperkalemia is seen only in Gordon syndrome or familial hyperkalemic hypertension Liddle syndrome: hypertension, hypokalemia & metabolic alkalosis Gitelman's syndrome: hypokalemia & metabolic alkalosis Bartter's syndrome: hypokalemia, hypochloremic metabolic alkalosis, hypercalciuria with nephrocalcinosis.